Parklands formula used for Burn's resuscitation is:
1. 4 mL/kg/% TBSA
2. 5 mL/kg/% TBSA
3. 6 mL/kg/% TBSA
4. 8 mL/kg/% TBSA

Correct answer: 1. 4 mL/kg/% TBSA

Explanation: a. 4mL/kg/%TBSA(Ref: Nelson's 20/e p 572, Ghai 8/e p 294-295)For most children with burns, the Parkland formula is an appropriate starting guideline for fluid resuscitation.According to it, 4mL lactated Ringer solution/kg/% BSA burned is usedHalf of the fluid is given over 1st 8 hr, calculated from the time of onset of injury; remaining over next 16 hours.